Organ of Rosenmuller is a remnant of -
1. Endodermal sinus
2. Mullerian duct
3. Mesonephric tubule
4. Paramesonephric duct

Correct answer: 3. Mesonephric tubule

Explanation: Remnant of mesonephric tubule is known as an organ of Rosenmuller/ Epophoron.